A farmer presenting with fever off-and on for the past 4 years was diagnosed to be suffering from chronic brucellosis. All of the following serological tests would be helpful in the diagnosis at this state except -
1. Standard Agglutination test
2. 2 Mercapto-ethanol test
3. Complement fixation test
4. Coomb's test

Correct answer: 1. Standard Agglutination test